Regarding ethmoidal polyp, which one of the following is true ?
1. Epistaxis
2. Unilateral
3. < 10 years
4. Associated with bronchial asthma

Correct answer: 4. Associated with bronchial asthma

Explanation: Ethmoidal polyps Ethmoidal polyps are multiple bilateral polyps arise from the numerous ethmoidal sinuses. They tend to protrude forward (in contrast to antrochoanal polyp which tends to grow backward). Ethmoidal polyps mostly occur in adult age, However any age group can be affected. Epistaxis is not a clinical feature. Etiology Nasal polypi are mostly seen in cases of allergic rhinitis and therefore ethmoidal polyps are considered of allergic origin. Nasal and sinus infection is usually associated but the precise role of infection in their causation is unknown. There are various diseases associated with polyp formation :- chronic rhinosinusitis, asthma, cystic fibrosis, kartagener's syndrome, young's syndrome, churg - strauss syndrome, nasal mastocytosis, aspirin intolerance. Clinical presentation of ethmoidal polyps Bilateral nasal obstruction. Bilateral watery nasal discharge. Excessive, paroxysomal sneezing. Anosmia. Snoring and mouth breathing. Headache, epiphora, and postnasal drip. Appear as multiple, sessile or pedunculated masses, like a bunch of grapes. Insensitive to touch and do not bleed on probing. Recurrence is common after removal (in contrast to antrochoanal polyp where recurrence is uncommon).